45 yrs old Ramlal has intraabdominal sepsis. The causative organism was found to be vancomycin, gentamycin and ampicillin resistant. It grows well in presence of 6.5% NaCl and arginine. Bile ascenlin hydrolysis is positive. Which of the following is this organism?
1. Streptococcus agalactae
2. Enterococcus fecalis
3. Streptococcus bovis
4. Streptococcus pneumoneae

Correct answer: 2. Enterococcus fecalis

Explanation: Ans. is 'b' i.e. Enterococcus fecalis Enterococcus belongs to Group D of Lancefield classification of Streptococci.Group D includesEnterococcal groupNon enterococcal group eg. Strep bovis.CHARACTERISTICS OF MEDICALLY IMPORTANT STREPTOCOCCI*OrganismGroupHemolysisHabitatLaboratory propertyDiseasesStreptococcus pyogenesABetaThroat, skin* Inhibited by bacitracin*PYR test positivePharyngitis,impetigo,Rheumatic fever,glomerulonephritisStreptococcus agalactiaeBBetaFemale genital tract* CAMP test** M.C. cause of neonatal meningitis & sepsisViridans streptococcus Alpha noneMouth, throat, colon, female genital tractColony not soluble in bileDental caries (S.mutans)endocarditis abscessStreptococcus pneumoniaeNoneAlphaThroatSusceptible to Optochin*, colony bile soluble*,Quellung +ve*Pneumoniameningitis,endocarditisPeptostrep- tococcusNoneNone, alphaMouth, colon, female genital tractObligate anaerobesAbscesses